Etiology of type-A gastritis
1. Hypersensitivity reaction I
2. Autoimmune
3. Bacteria
4. Viral etiology

Correct answer: 2. Autoimmune

Explanation: Ans. (b) AutoimmuneRef: Bailey & Love 26th ed. /1031* Autoimmune metaplastic atrophic gastritis is an autoimmune disease that attacks parietal cells, resulting in hypochlorhydria and reduced production of intrinsic factor. Consequences include atrophic gastritis, B12 malabsorption, and, frequently, pernicious anemia. Risk of gastric adenocarcinoma increases 3-fold. Diagnosis is by endoscopy. Treatment is with B12* Type B, or antral-predominant, gastritis is caused by H. pylori infection.* The number of H. pylori organisms decreases dramatically with progression to gastric atrophy, and the degree of inflammation correlates with the level of these organisms.* Early on, with antral-predominant findings, the quantity of H. pylori is highest and a dense chronic inflammatory infiltrate of the lamina propria is noted, accompanied by epithelial cell infiltration with Polymorphonuclear leukocytes